In Gestational diabetes mellitus what is NOT usually seen
1. Macrosomic baby
2. Malformations like cardiac and neural tube defects
3. Shoulder dystocia
4. Polyhydramnios

Correct answer: 2. Malformations like cardiac and neural tube defects

Explanation: Fetal anomalies are more commonly seen in overt diabetics with poor glycemic control in first trimester, which is the time for organogenesis, and usually not with gestational diabetes where sugars are deranged later in pregnancy as a part of new onset carbohydrate intolerance The majority of patients will be at average risk and the best time to screen them is between 24 and 30 weeks of gestation.